What is stereopsis is -
1. Perception of different colours
2. Perception of depth of vision
3. Perception of Peripheral visual fields
4. Perception of size of an object

Correct answer: 2. Perception of depth of vision

Explanation: Ans. is 'b' i.e. Perception of the depth of vision o Stereopsis is a term that is most often used to refer to the perception of depth and 3-dimensional structure obtained on the basis of the visual information deriving from two eyes by individuals with normally developed binocular visiono There are two distinct aspects to stereopsis: coarse stereopsis and fine stereopsis, and provide depth information of the different degree of spatial and temporal precision :# Coarse stereopsis (also called gross stereopsis) appears to be used to judge stereoscopic motion in the periphery. It provides the sense of being immersed in one's surroundings and is therefore sometimes also referred to as qualitative stereopsis.Coarse stereopsis is important for orientation in space while moving, for example when descending a flight of stairs.# Fine stereopsis is mainly based on static differences. It allows the individual to determine the depth of objects in the central visual area (Panum's fusional area) and is therefore also called quantitative stereopsis. It is typically measured in random-dot tests; persons having coarse but no fine stereopsis is often unable to perform on random-dot tests, also due to visual crowding which is based on interaction effects from adjacent visual contours. Fine stereopsis is important for fine-motorical tasks such as threading a needle.